Perihilar fluffy opacities on Xrays are seen in
1. Sarcoidosis
2. Pulmonary edema
3. Silicosis
4. Lung carcinoma

Correct answer: 2. Pulmonary edema

Explanation: Pulmonary venous hypertension:It is caused by increased resistance to blood flow in the pulmonary veins, due to obstruction or reduced compliance within the left atrium, at the mitral valve, or within the left ventricle.It is divided into 3 grades of severity:Grade I PVH:a. Reversal of normal gravity dependent gradient of pulmonary blood flow with the diameter of upper lobar vessels greater than that of lower lobe vesselsb. Enlargement of the right superior pulmonary vein with loss of hilar angle lateral concavity of hilumc. Loss of visibility of mid and distal portions of the right descending pulmonary trunkGrade ii PVH:d. Interstitial pulmonary edemae. Pleural effusionGrade iii PVH:f. Alveolar pulmonary edema with bilateral fluffy alveolar opacitiesg. Cardiomegaly left atrial enlargement*Flask-shaped / Pear-shaped / Leathe- bottle / Money-bag shaped heart - Pericardial effusion* Boot-shaped heart / Coer-en-sabot - Fallot's tetralogy* Box shaped appearance - Tricuspid atresia* Jug Handle appearance - Primary pulmonary artery hypertension* "3" like appearance - Coarctation of Aorta* Egg on side appearance - Transposition of great vessels* Egg in cup appearance - Constrictive pericarditis* Snow-man heart - TAPVC (total anomalous pulmonary venous connection)* Figure of '8' - TAPVC (total anomalous pulmonary venous connection)* Cottage Leaf appearance - TAPVC* Pericardial calcification - Constrictive pericarditis* Calcification in heart wall - is seen in - Carcinoid syndrome* Calfication of ascending aorta - Atherosclerosis, Syphilis* Hilar dance on fluoroscopy - Atrial Septal Defect* Xray finding in Ebstein's anomaly - Pulmonary oligemia* Posterior displacement of trachea - seen in - aneurysm of the aorta* Obliteration of left border of heart (PA view of the chest) is - suggestive of - Lingular pathology (left lung)* Bat's wings appearance - Pulmonary edema* Pruned tree appearance (of pulmonary circulation) - Pulmonary artery hypertensionLungs* Ground glass appearance - Hyaline membrane disease* Solitary pulmonary mass lesion > 4cms - is most commonly due to - Bronchial adenoma* HoneyComb appearance - -Sarcoidosis -Histiocytosis X -Interstitial lung disease -Tuberculosis -Collagen disorders -Pneumoconiosis -Drugs - bleomycin, busulphan, melphalan, cyclophosphamide* Meniscus sign / Crescent sign (mobile mass in pulmonary cavity) is most commonly seen in - Aspergilloma (fungal ball lesion)* Egg-Shell calcification - SilicosisQ , SarcoidosisQ , Coal miner's pneumoconiosis, Lymphoma following radiotherapyQ* Pop-corn calcification / Craggy pop-corn calcification - Pulmonary Hamartoma* Pleural calcification - the commonest cause is - Tuberculosis (Asbestosis)* Diaphragmatic Pleura calcification - is due to - Asbestosis* Calcification of a pulmonary metastasis - is most commonly due to - Osteosarcoma* Coin shadow in the lung (single), with calcification in the center - Epidermoid carcinoma* For radiologically evident pleural effusion - the minimal amount of pleural fluid that should be present is - 250 ml* Plethoric lung fields - seen in - L-R shunts ( VSD, PDA, ASD)* Oligemic lung fields - Pulmonary atresia, Stenosis; Ebstein's anomaly* Perihilar fluffy opacities - seen in - Pulmonary venous hypertensionRibs* Superior surface notch of ribs - seen in - Hyperparathyroidism, Neurofibromatosis, Connective tissue disorders* Inferior surface notch of ribs - seen in - Coarctation of Aorta, SVC obstruction, Chest wall AV fistula, Aortic Thrombosis,* Unilateral notching of ribs - Coarctation of Left subclavian artery, Subclavian artery block, Blalock-Taussig OperationOthers* Displacement of tracheal shadow - most common cause is - Thyroid swelling* Water Lily sign - Ruptured hydatid cyst(Ref: David Sutton; Textbook of radiology and imaging, 7th edition, page no.552-3, 866; Grainger's diagnostic radiology, 4th ed,. 874)